Abruption of placenta occurs in all EXCEPT
1. Smokers
2. Folic acid deficiency
3. Alcoholics
4. PIH

Correct answer: 3. Alcoholics

Explanation: Alcoholics